Which of the following agents in not likely to be found in plasma?
1. Thrombin
2. Fibrinogen
3. Prothrombin
4. Calcium ion

Correct answer: 1. Thrombin